Pancreatic lipase that digests lipids require
1. Vitamin B12
2. Pyridoxine
3. Tocopherol
4. Colipase

Correct answer: 4. Colipase

Explanation: Colipase, abbreviated CLPS, is a protein co-enzyme required for optimal enzyme activity of pancreatic lipase. It is secreted by the pancreas in an inactive form, procolipase, which is activated in the intestinal lumen by trypsin Ref: guyton and hall textbook of medical physiology 12 edition page number:437,438,439